A conceptus material is brought by the police. It is 2 cm in length and 10 g in weight. Probable age is:
1. 2 weeks
2. 4 weeks
3. 5 weeks
4. 6 weeks

Correct answer: 4. 6 weeks

Explanation: Ans. 6 weeks